Most common senile cataract causing glaucoma is
1. Incipient type
2. Nuclear type
3. Morgagnian hyper mature
4. Sclerotic hypermature

Correct answer: 3. Morgagnian hyper mature

Explanation: Morgagnian cataract complicates into phacolytic glaucoma Refer: Khurana 6th edition page number 187